Lambda is the junction between
1. Occipital and frontal bones
2. Frontal and temporal bones
3. Parietal and occipital bones
4. Frontal and parietal bones

Correct answer: 3. Parietal and occipital bones

Explanation: The lambdoid suture lies between the occipital bone and the two parietal bones.sutural or Wormian bones are common along this suture. Lambda, parietal foramina, and obelion have been examined in the norma verticalis. Ref BDC volume:3,6th edition